All of the following form boundary of Calot's triangle EXCEPT?
1. Hepatic duct
2. Superior surface of liver
3. cystic artery
4. Cystic duct

Correct answer: 2. Superior surface of liver

Explanation: Calot's triangle -Boundaries Medial- Common hepatic duct Inferolateral-Cystic duct Superior-cystic artery -Content is lymph node of LUND fig:-calots triangle